Follow-up in a patient of H mole is done by:
1. Serum Beta-hCG monitoring
2. Serum CEA level estimation
3. Serum amylase level
4. Serum a-fetoprotein estimation

Correct answer: 1. Serum Beta-hCG monitoring

Explanation: Ans. is a, i.e. Serum Beta hCG monitoringRef. Dutta Obs. 7/e, p 195, 196; Novak 14/e, p 1590The chances of persistent trophoblastic disease and choriocarcinoma are high after evacuation of H mole therefore regular follow-up is mandatory."After molar evacuation, patients should be monitored with weekly determinations of b-subunit hCG levels until these levels are normal for 3 consecutive weeks, followed by monthly determinations until the levels are nomrmal for 6 consecutive months. The average time to achieve the first normal hCG level after evacuation is about 9 weeks. At the completion of follow-up, pregnancy may be undertaken. After a patient achieves a nondetectable hCG level, the risk of developing tumour relapse is very low and may approach zero." --Novak 14/e, p 1590